Inhaled forgein body usually lodges in the:
1. Apex of right lung
2. Lower lobe of right lung
3. Apex of left lung
4. Lower lobe of left lung

Correct answer: 2. Lower lobe of right lung

Explanation: Inhalation of foreign bodies into the lower respiratory tract is common, especially in children.Parts of teeth may be inhaled while a patient is under anesthesia during a difficult dental extraction.Because the right bronchus is the shorter (2.5 cm), wider and more direct continuation of the trachea, foreign bodies tend to enter the right instead of the left bronchus. From there, they usually pass into the middle or lower lobe bronchi.